Inhibin b hormone has effect on
1. Sertoli cells
2. FSH
3. Seminiferous tubules
4. Spermatogenesis

Correct answer: 2. FSH